Which of the following disorders is NOT aggravated by corticosteroid therapy ?
1. Congenital adrenal hyperplasia
2. Diabetes mellitus
3. Hypertension
4. Peptic ulcer

Correct answer: 1. Congenital adrenal hyperplasia